Hypersecretory glaucoma is seen in-
1. Epidemic dropsy
2. Marfan's syndrome
3. Hypertension
4. Diabetes

Correct answer: 1. Epidemic dropsy

Explanation: "In epidemic dropsy, the aqueous shows raised level of histamine, prostaglandin and protein suggestion that the glaucoma is hypersecretory". Ref: pediatric Ophthalmology by PK Mukharjee 4th/e p.370